All of the following are true about Lesch-Nyhan syndrome, EXCEPT:
1. Affects almost solely males
2. Excessive synthesis of purines is a feature
3. Characterized by gouty arthritis
4. Febuxostat is routinely used for treatment

Correct answer: 4. Febuxostat is routinely used for treatment

Explanation: Lesch-Nyhan syndrome is a genetic disease, affecting almost solely males, of excessive synthesis of purines because of defective recycling and, therefore, uric acid production from their breakdown. Lesch-Nyhan syndrome is characterized by gouty arthritis but, in addition, affects the brain, resulting in intellectual disability, loss of control of arm/leg/face movements, aggressive behavior, and self-mutilation by biting and scratching. Successful treatment of this disorder is still being sought. Febuxostat has been approved for use in the treatment of chronic hyperuricemia. This drug appears to be more effective than allopurinol in preventing acute attacks of gout and reducing the size of the crystal deposits. Ref: Janson L.W., Tischler M.E. (2012). Chapter 4. Nucleosides, Nucleotides, DNA, and RNA. In L.W. Janson, M.E. Tischler (Eds), The Big Picture: Medical Biochemistry.